According to shaw's classification, IIIrd degree of uterine prolapse is:
1. Cx above introitus
2. Cx at the level of introitus
3. Cx outside the introitus
4. Procidentia

Correct answer: 3. Cx outside the introitus

Explanation: In IIIrd degree of uterine prolapse according to Shaw's classification the cervix is descended out of the introitus. Wilfred Shaws classification Classification of uterine prolapse: Ist degree: Descent of cervix in the vagina IInd degree: Descent of cervix into the introitus IIIrd degree: Descent of the cervix outside the introitus IVth degree: Whole uterus lies outside the utreus Prolapse of anterior vaginal wall: Upper two third: cystocele Lower one third: urethrocele Posterior vaginal wall: Upper one third: enterocele Lower two third: rectocele Ref: Textbook of Gynecology by Sudha salhan page 203.